True about HIT syndrome are all Except?
1. LMWH shouldn't be used for treatment
2. It causes both arterial and venous thrombosis
3. More common with fractionated heparin
4. Occurs commonly in about a week of heparin therapy

Correct answer: 3. More common with fractionated heparin

Explanation: Ans. is 'c' i.e., More common with fractionated heparin Features of Heparin Induced Thrombocytopenia o Platelet count PS 100,000/uL or decreased by 350%. o Starts 5-10 days after starting heparin. o More common with unfractionated heparin than LMW heparin. o Venous thrombosis is more common than arterial.